The slogan for WHO 2005 –
1. Road safety
2. Maternal and child health
3. Aging
4. Physical activity

Correct answer: 2. Maternal and child health

Explanation: Year → World Health Day (WHD) Theme
2004 → Road safety is no accident
2005 → Make every mother and child count
2006 → Working together for health
2007 → International health security: Invest in health, build a safer future
2008 → Protecting health from climate change
2009 → Health facilities in emergencies